Crocus cloth is
1. emery
2. rouge
3. pumice
4. garnet

Correct answer: 2. rouge